Viruses have various ways of entering the human body and producing disease. Which of the following descriptions accurately describes the route of transmission and target disease for the virus indicated?
1. Coronavirus: fecal-oral; peptic ulcers
2. Echovirus: fecal-oral; aseptic meningitis
3. HIV: respiratory droplet; anemia
4. Influenza virus: blood-borne; maculopapular rash

Correct answer: 2. Echovirus: fecal-oral; aseptic meningitis

Explanation: Echo virus, an enterovirus, is spread via the fecal-oral route and causes aseptic meningitis (b). Coronaviruses (a) are more commonly spread via respiratory droplets and cause the common cold. HIV (c), the causative agent of AIDS, is spread via blood and sexual contact. Influenza virus (d) is spread by respiratory droplets and causes influenza and sometimes primary viral pneumonia. Rabies virus (e) is spread by bites of mammals and causes the CNS disease rabies.